Vitamin B12 is absorbed in
1. Duodenum
2. Jejunum
3. Ileum
4. Colon

Correct answer: 3. Ileum

Explanation: Most vitamins are absorbed in the upper small intestine, but vitamin B 12 is absorbed in the ileum.This vitamin binds to IF and this complex is absorbed across the ileal mucosa.Vitamin B12 and folate absorption are Na independent.(Ref: Ganong's Review of medical physiology, 23 rd edition, page 458)